The drug which is used for long-term maintenance in opioid addiction -
1. Naloxone
2. Nalorphine
3. Butarphanol
4. Methadone

Correct answer: 4. Methadone

Explanation: Drugs for long-term maintenance for opioid dependence (addiction) :- Methadone is the DOC. Alternatives are buprenorphine, LAAM, opioid antagonists (naltrexone).